All are aminoglycosides except:
1. Netilmycin
2. Streptomycin
3. Kanamycin
4. Azithromycin

Correct answer: 4. Azithromycin

Explanation: Systemic aminoglycosides :Streptomycin Amikacin Gentamicin Sisomicin Kanamycin Netilmicin Tobramycin Topical aminog/ycosides :Neomycin Framycetin ESSENTIALS OF MEDICAL PHARMACOLOGY Page 743